The features of neonatal hyperthyroidism include all except
1. Triangular facies with craniosynostosis
2. Congestive cardiac failure
3. Advanced osseous maturation
4. Goiter is rare

Correct answer: 4. Goiter is rare

Explanation: The diagnosis is confirmed by the demonstration of elevated serum free T4 and T3 levels.The presence of goiter infiltrative eye signs and hyperthyroidism is suggestive of Grave's disease. Absence of goiter should raise the possibility of transient hyperthyroidism as a part of autoimmune thyroiditis. Reference: OP Ghai,essential paediatrics,8 th edition,page no 520